Iron is absorbed actively in the -
1. Stomach
2. Duodenum
3. Terminal ileum
4. Proximal ileum

Correct answer: 2. Duodenum

Explanation: Ans. is 'b' i.e., Duodenum Iron is absorbed in the duodenum and proximal jejunum.